Rhenium is used in which part of X ray Tube?
1. Cathode
2. Anode
3. Focussing Cup
4. Filter

Correct answer: 2. Anode

Explanation: *Tungsten Rhenium Alloy is used as Anode in Modern X ray tube. *Nickel is used in Focussing Cup. *Aluminium is used in Filter.